Which of the following serves as the MOST DIAGNOSTIC sign of Pregnancy?
1. Amenorrhoea
2. Quickening
3. Foetal heart sounds
4. Distention of abdomen

Correct answer: 3. Foetal heart sounds

Explanation: Ans. C. Foetal heart soundsPresence of fetal heart sounds is considered to be one of the most diagnostic signs of pregnancy.Other absolute signs of pregnancy are mentioned as follows:* Perception of active fetal movements and Palpation of fetal parts.* Ultrasonographic evidence of gestational sac and embryo in early pregnancy and even later.Probable signs:* Osiander's sign (increased pulsation felt through lateral fornix by 8 weeks), Chadwick's sign (Blue hue of vagina), and Goodell sign (softening of cervix)* Enlargement of the abdomen.* Change in shape, size as well as consistency of uterus* Softening of cervix* Internal as well as external ballottement* Contraction of Braxton Hicks